Friedlander Pneumonia refers to Pneumonia caused by
1. Klebsiella
2. Pneumococcus
3. H. Influenzae
4. Staphylococcus

Correct answer: 1. Klebsiella

Explanation: Ans. is 'a' i.e., Klebsiella Klebsiella Pneumonia is also known as "Friedlander Pneumonia". Klebsiella initially described in 1882 by Friedlander was also known as Friendlander's bacillus. Community acquired Pneumonia caused by Friendlander's bacillus (Klebsiella) was termed as Friedlander Pneumonia